Semicircular canals are stimulated by:
1. Gravity
2. Linear acceleration
3. Rotation
4. Sound

Correct answer: 3. Rotation

Explanation: Semicircular canals contain cristae which sense angular or rotational acceleration